Autoimmune haemolytic anemia is seen in -
1. ALL
2. AML
3. CIL
4. CML

Correct answer: 3. CIL

Explanation: Ans. is 'c' i.e., CLL